A teenage girl presented in OPD with moderate acne and history of irregular menses. What treatment will you suggest
1. Oral Isotretinoin
2. Oral Acitretin
3. Oral Minocycline
4. Cyproterone Acetate

Correct answer: 4. Cyproterone Acetate

Explanation: Cyroterone Acetate Is a derivative of 17alfa-hydroxyprogesterone (17OHP) having potent progestational activity that inhibits gonadotropin secretion, but also acts as competitive androgen receptor antagonist and inhibits enzymes involved in androgen synthesis Antiandrogens are an effective treatment for hirsutism but are best used in combination with highly effective contraception, because they have the potential to adversely affect sexual development in a male fetus if the patient conceives during treatment Side effects: Fatigue, Edema, Loss of libido, Weight gain and Mastalgia Acne is a mild form of hirsutism seen in young girls This should be treated with dianette pill containing 35microgram Ethinyl estradiol and 2mg of cyproterone acetate Ref: Clinical Gynecologic Endocrinology and Infeily; Eigth edition; Chapter 13